Phases of ARDS are all except
1. Exudative
2. Transudative
3. Proliferative
4. Fibrotic

Correct answer: 2. Transudative

Explanation: The natural history of ARDS is marked by three phases--exudative, proliferative, and fibrotic. The exudative phase is notable for early alveolar edema and neutrophil-rich leukocytic infiltration of the lungs, with subsequent formation of hyaline membranes from diffuse alveolar damage. Within 7 days, a proliferative phase ensues with prominent interstitial inflammation and early fibrotic changes.Approximately 3 weeks after the initial pulmonary injury, most patients recover. However, some patients enter the fibrotic phase, with substantial fibrosis and bullae formation.Ref: Harrison 19e pg: 1736